Glucose-6-phosphate dehydrogenase deficiency causes:
1. Megaloblastic anemia
2. Hemolytic anemia
3. Sickle cell anemia
4. Microcytic anemia

Correct answer: 2. Hemolytic anemia

Explanation: Ans. (b) Hemolytic anemiaRef: Vasudevan Biochemistry, 8th ed. P 426* G6PD deficiency causes hemolytic anemia, since RBCs become susceptible to oxidative stressOther causes of hemolytic anemias are:Hemolytic anemia||Intra corpuscular Within the red cellExtra corpuscular (Outside the Red Cell)||||HereditaryacquiredAuto immuneNon immune||1. Warm Ab2. Cold Ab3. Transfusion reactions4. Drug associated1.Hypersplenism2. Infections (Malaria)3. Mechanical trauma to RBCs4. Liver disease (Spur cell)1. Membrane defects- Hereditary spherocytosis- Hereditary elliptocytosis- Hereditary pyro poikilocytosis- Hereditary stomatocytosis2. Enzyme defects -G6PD3. Hemoglobin defects- Hemoglobinopathies(sickle cell disorders)- Hb SS, CC, SC & S-B-- ThalassemiasMembrane defects|PNH